Which sampling method is used in assessing immunization status of children under an immunization program
1. Quota sampling
2. Multistage sampling
3. Stratified random sampling
4. Cluster samping

Correct answer: 4. Cluster samping